In the estimation of statistical probability, Z score is applicable to -
1. Normal distribution
2. Skewed distribution
3. Binomial distribution
4. Poisson distribution

Correct answer: 1. Normal distribution